Commonest variety of pemphigus:
1. Pemphigus vulgaris
2. Pemphigus vegetans
3. Pemphigus foliaceus
4. Pemphigus erythematosia

Correct answer: 1. Pemphigus vulgaris

Explanation: Ans is 'a' i.e, Pemphigus vulgaris